Following are listed as (SpA) spondyloarthritis features except
1. Dactylitis
2. Enthesitis
3. HLA b27
4. Cervical sprain

Correct answer: 4. Cervical sprain

Explanation: The spondyloarthritides is a group of overlapping disorders that share certain clinical features and genetic associations. These disorders include ankylosing spondylitis (AS), reactive arthritis, psoriatic arthritis and spondylitis, enteropathic arthritis and spondylitis, juvenile onset spondyloarthritis (SpA), and undifferentiated SpA. The similarities in clinical manifestations and genetic predisposition suggest that these disorders share pathogenic mechanisms. Reference: Harrison's Principles of Internal Medicine; 20th edition; Chapter 384;